Which among the following is NOT a coenzyme of pyruvate dehydrogenase during the decarboxylation of pyruvate?
1. FAD
2. NAD
3. Folic acid
4. Lipoate

Correct answer: 3. Folic acid

Explanation: Pyruvate is oxidatively decarboxylated by pyruvate dehydrogenase (PDH) complex, producing acetyl CoA, which is the major fuel for the tricarboxylic acid cycle. This multienzyme complex requires five coenzymes: Thiamine pyrophosphate Lipoic acid FAD NAD+ Coenzyme A Pyruvate dehydrogenase is inhibited by its products, acetyl-CoA, and NADH Ref: Biochemistry By Richard A. Harvey (Ph. D.), Richard A. Harvey, Denise R. Ferrier, 2011, Page 114.